Drug of choice for obsessive compulsive disorder is:
1. Clozapine
2. Alprazolam
3. Amoxapine
4. Fluoxetine

Correct answer: 4. Fluoxetine